The following features of panophthalmitis differentiate it from endophthalmitis except:
1. Presence of pus in the anterior chamber
2. Proptosis
3. Limited and painful ocular movements
4. Complete loss of vision

Correct answer: 1. Presence of pus in the anterior chamber

Explanation: Ans. Presence of pus in the anterior chamber